The normal level of serum cholesterol is:
1. 100-140 mgs/100 ml
2. 260-360 mgs/100 ml
3. 150-250 mgs/100 ml
4. 80-120 mgs/ml

Correct answer: 3. 150-250 mgs/100 ml